In a patient with anemia, a low MCV and a negative fecal occult blood, indicates the possibility of which gastrointestinal disease?
1. Peptic ulcer disease
2. Alcoholic liver disease
3. Hookworm infestation
4. Celiac disease

Correct answer: 4. Celiac disease

Explanation: Lab parameters and diagnosis in Patients with Blood loss: A low MCV and negative fecal occult blood test-possibility of celiac disease. A high MCV (>100 fL) -chronic liver disease /folate / vitamin B12 deficiency. An elevated white blood cell count -greater severity of bleeding. A low platelet count -suggests chronic liver disease or a hematologic disorder. BUN level typically increases after GI bleed. The prothrombin time (PT) and international normalized ratio (INR) - elevated in chronic liver disease or with the use of warfarin. Low serum albumin -Possible chronic liver disease, malnutrition, or protein loss the intestine or kidney Ref: Sleisenger and Fordtran's, E-9, P-290